The cytogenetics of the Chromophillic renal cell carcinoma is characterized by
1. Mutant VHL gene
2. Loss 3p
3. Trisomy 7/17
4. Loss of 5q3

Correct answer: 3. Trisomy 7/17

Explanation: Chromophillic carcinoma is the other name of papillary renal cell carcinoma because 80% of Chromophillic cancers show tubopapillary architecture. As discussed, papillary cancer is associated with trisomy 7,16,17